Lipofuscin containing macrophages are a feature of?
1. Wear and tear
2. Fat deposit
3. Iron deficiency
4. Calcification

Correct answer: 1. Wear and tear

Explanation: Ans is 'a' i.e., Wear and tear Lipofuscin* It is an insoluble pigment, also known as lipochrome and wear or tear or aging pigment. Lipofuscin is not injurious to the cell or its functions.* Its importance lies in being the tell-tale sign of free radical injury and lipid peroxidation.* It is seen in cells undergoing slow, regressive changes and is particularly prominent in the liver and heart of aging patients or patients with severe malnutrition and cancer cachexia.* On electron microscopy, the granules are highly electron dense, often have membranous structure in their midst and are usually in perinuclear location. In tissue section it appears as yellow brown pigment.* Deposition of lipofuscin in the heart is referred as brown atrophy.